Which of the following types of drug metabolizing enzymes are inducible?
1. Microsomal enzymes
2. Nonmicrosomal enzymes
3. Both microsomal and non microsomal enzymes
4. Mitochondrial enzymes

Correct answer: 1. Microsomal enzymes

Explanation: All microsomal enzymes are considered inducible. Ref: KDT 6/e pg 23.